All are metabolic causes of liver disease except-
1. Histiocytosis
2. Hemochromatosis
3. Gaucher's disease
4. Wilson's disease

Correct answer: 1. Histiocytosis

Explanation: Chronic mild liver enzyme abnormalities are attributable to hereditary hemochromatosis in at least 3% of cases. Hemochromatosis formerly was diagnosed late with diabetes and hepatic and cardiac failure This excess iron is stored in major organs, especially your liver. Over a period of years, the stored iron can cause severe damage that may lead to organ failure Gaucher disease is a rare, inherited metabolic disorder in which deficiency of the enzyme glucocerebrosidase results in the accumulation of harmful quantities of certain fats (lipids), specifically the glycolipid glucocerebroside, throughout the body especially within the bone marrow, spleen and liver. Wilson's disease is a rare inherited disorder that causes copper to accumulate in your liver, brain and other vital organs. .Normally, copper is absorbed from your food, and excess is excreted through a substance produced in your liver (bile). Liver biopsy is very helpful in such conditions histiocytosis is an excessive number of histiocytes(tissue macrophages), and the term is also often used to refer to a group of rare diseases which share this sign as a characteristic. And it is not related to metabolic activities in liver Ref Davidson edition23rd pg 856